Most common ovarian malignancy in a young lady is -
1. Dysgerminoma
2. Ovarian Mucinous Cystadenocarcinoma
3. Ovarian Serous Cystadenocarcinoma
4. Fibroid

Correct answer: 1. Dysgerminoma